Thumb printing sign is seen in:
1. Ischaemic colitis
2. Ca colon
3. Sigmoid volvulus
4. Achalasia cardia

Correct answer: 1. Ischaemic colitis

Explanation: Ans: a (Ischaemic colitis)Important barium enema findings* Ileocecal TB "Pulled up caecum", obtuse ileocecal angle, filling defect and incompetent Ileocecal valve.* Ca colon-Irregular filling defect, apple core deformity.* Ulcerative colitis-Loss of haustrations, lead pipe appearance* Crohn's disease-String sign of Kantor, "raspberry thorn" ulcers* Colonic polyps-Smooth irregular filling defects* Hirschsprung disease Dilated proximal zone with narrow distal zone of coning.* Diverticulosis colon-Saw tooth appearance, champagne glass sign* Ischemic colitis-Thumb print appearance* Intussusception-Coiled spring appearance, claw sign* Volvulus-Bird beak sign, ace of spades.Various appearances in barium swallow* Bird beak appearance -Achalasia cardia* Rat tailed appearance -Achalasia cardia* Cork screw esophagus - Diffuse esophageal spasm* Curling esophagus - Diffuse esophageal spasm* Nut crackers esophagus- Diffuse esophageal spasm